Efavirenz limits HIV infection by:
1. Binding to active site of HIV reverse transcriptase
2. Impairing the binding of HIV virion to CD4 receptors on T- cells
3. Inhibiting the HIV protease
4. Serving as an allosteric inhibitor of HIV reverse transcriptase

Correct answer: 4. Serving as an allosteric inhibitor of HIV reverse transcriptase

Explanation: Efavirenz is a NNRTI which acts as an allosteric (non-competitive) inhibitor of HIV reverse transcriptase. It is more potent than zidovudine on HIV-1, but do not inhibit HIV-2. If used alone, viral resistance develops rapidly by point mutation of the enzyme; therefore it should always be combined with 2 other effective drugs. S/E of Efavirenz : Headache, rashes, dizziness, insomnia, neuro-psychiatric symptoms